Which of the following drug is not used against Pseudomonas ?
1. Piperacillin
2. Carbenicillin
3. Ticarcillin
4. Oxacillin

Correct answer: 4. Oxacillin